Inverted fir tree appearance on gelatin stab is characteristic of?
1. Mycoplasma
2. Bacillus anthracis
3. Clostridium
4. Bacteriodes

Correct answer: 2. Bacillus anthracis

Explanation: Ans. (b) Bacillus anthracisRef: Jawetz 24/e, chapter 12